Which of the following is NOT seen in Paroxysmal Nocturnal Hemoglobinuria -
1. Hypocellular bone marrow
2. Hemosiderinuria
3. Increased LAP score
4. Pancytopenia

Correct answer: 3. Increased LAP score